Depressive delusions that the world and everything related to it cease to exist is called:
1. Persecutory delusion
2. Delusion of infidelity
3. Nihilistic delusion
4. Delusion of reference

Correct answer: 3. Nihilistic delusion

Explanation: Ans. Nihilistic delusion